Cherry red spot is seen in all except -
1. Niemann-Pick's disease
2. Tay-Sachs disease
3. Gaucher's disease
4. Sarcoidosis

Correct answer: 4. Sarcoidosis

Explanation: Ans. is 'd' i.e., Sarcodosis Causes of cherry red soot o GM2 gangliosidoses (Tay sachs & sandhoff)o Hurler's syndromeo GM1 gangliosidoseso Cryoglobulinemiao Niemann - Pick's diseaseo Laber's congenital amaurosiso Gaucher's diseaseo Sialidosis (galactosialidosis)o Metachromatic leukodystrophyo Mucopolysacharidosis VIIo Central retinal artery occlusion (CRAO)o Multiple sulfatase deficiencyo Trauma (Berlin's edema / commotio retinae)o PoisoningCarbon mono-oxide, methanolo Quinine and Dapsoneo Shprintzen-Goldberg syndromeo Farber's diseaseo Hallervorden spatz diseaseo Goldberg's diseaseo Rarely in krabbe's disease